Aganglionic segment is encountered in which part of colon in case of Hirschsprung disease ?
1. Distal to dilated segment
2. In Whole colon
3. Proximal to dilated segment
4. In the dilated segment

Correct answer: 1. Distal to dilated segment

Explanation: Ans. is 'a' i.e., Distal to dilated segment Congenital aganglionic megcolon (Hirschsprung disease) o Hirshsprung disease a congenital disorder characterized by aganglionosis of a portion of the intestinal tract. o An intestinal segment lacks both Meissner submucosal and Auerbach myenteric plexuses. This leads to functional obstruction and intestinal dilation Proximal to the affected segment. o Histological findings are :- (i) Absence of ganglion cells and ganglia in the muscle wall and submucosa of the affected segment. (ii) Thickening and hypertrophy of nerve trunk. o Rectum is always affected with involvement of more proximal colon to variable extent --> most cases involve the rectum and sigmoid only. o Proximal to the aganglionic segment, the colon undergoes progressive dilation and hypertrophy. o With time, the proximal innervated colon may become massively distended --> megacolon.